Screening of the diseases is which type of prevention?
1. Primordial
2. Primary
3. Secondary
4. Tertiary

Correct answer: 3. Secondary

Explanation: Ans. is 'c' i.e., Secondary